All are manometric features of achalasia except
1. High LES pressure
2. Decreased LES relaxation
3. Segmental body peristalsis
4. Manometry helps in diagnosis

Correct answer: 3. Segmental body peristalsis

Explanation: Elevated intraesophageal pressure (pressurization of the esophagus) from incomplete air evacuation Simultaneous mirrored contractions with no evidence of progressive peristalsisLow-amplitude waveforms indicating a lack of muscular tone